Pautrier's micro-abcess is a histological feature of:
1. Sarcoidosis
2. TB
3. Mycosis fungoides
4. Ptyriasis lichenoides chronica

Correct answer: 3. Mycosis fungoides

Explanation: C i.e. Mycosis Fungoides